Slow conduction velocity is seen with which of the following nerve fibers
1. Preganglionic autonomic nerve fibers
2. Postganglionic autonomic nerve fibers
3. Sympathetic nerve fibers
4. Motor nerves

Correct answer: 2. Postganglionic autonomic nerve fibers

Explanation: Ref:- Ganong's Review of Medical Physiology 25th ed; pg num:- 94